Which of the following is seen in Wilson disease?
1. High ceruloplasmin
2. Low ceruloplasmin and high urinary copper
3. Low serum copper
4. Low urinary copper

Correct answer: 2. Low ceruloplasmin and high urinary copper

Explanation: In Wilson disease, low serum ceruloplasmin and high urinary copper seen.